All are associated with Wernicke, encephalopathy, EXCEPT:
1. Cog-wheel rigidity
2. Alteration in mental function
3. Vlth nerve palsy
4. Ataxia

Correct answer: 1. Cog-wheel rigidity

Explanation: Ans. is 'a' Cogwheel rigidity